The double pot method of adding chlorine to well water was devised by
1. WHO
2. UNICEF
3. National Environment Engineering and Research Institute
4. ICMR

Correct answer: 3. National Environment Engineering and Research Institute